All of the following are true about absence seizure except
1. Daydreaming
2. Loss of muscle tone
3. T-type calcium channels implicated in pathophysiology
4. Precipitated by hyperventilation

Correct answer: 2. Loss of muscle tone

Explanation: There is no loss of muscle tone in absence seizures